External auditory canal is formed by:
1. 1st branchial groove
2. 1st visceral pouch
3. 2nd branchial groove
4. 2nd visceral pouch

Correct answer: 1. 1st branchial groove

Explanation: 1st branchial groove Ref : HAZARIKA 3RD ED.